TRIANGULAR CORD Sign is seen in?
1. Caroli's Disease
2. Serous Cystadenoma
3. Biliary Atresia
4. Hydatid of Liver

Correct answer: 3. Biliary Atresia

Explanation: Biliary atresia: Has empty GB fossa / Ghost gall bladder "Triangular cord sign "is seen. Triangular cord sign represents the fibrous ductal remnant of the extrahepatic bile duct in biliary atresia. Carolis disease: It is a type V choledochal cyst - Intrahepatic biliary dilatation Shows "central dot sign" Hydatid of Liver Serous cystadenomas of pancreas: - demonstrates multicystic, lobulated mass in head of pancreas - characterised by centrally enhancing scar showing stellate calcification -'bunch of grapes appearance' is seen on axial T2 MRI image.